Community physician takes action based On-
1. Population attributable risk
2. Relative risk
3. Attributable risk
4. Odds ratio

Correct answer: 1. Population attributable risk

Explanation: Ans. is 'a' i.e., Population attributable risk o The concept of population attributable risk is useful in that it provides an estimate of the amount by which disease could be reduced in that population, if the suspected factor is modified or eliminated. o So, population attributable risk gives a better idea than does relative risk of the impact of successful preventive or public health programme might have in reducing the problem. o Population attributable risk is broader and better than attributable risk.